N.K Cell provides immunity againts -
1. Virus
2. Bacteria
3. Fungus
4. Chlamydia

Correct answer: 1. Virus

Explanation: NK cells are considered as an innate immune defence against cells that have lost the expression of ClassI MHC like virus infected cells and malignant cells. Reff: Ananthanarayanan & Panikers textbook of microbiology 9th edition pg: 137